OC pills are C/I in pts receiving :
1. Rifampicin
2. Ethambutol
3. Streptomycin
4. Pyrazinamide

Correct answer: 1. Rifampicin

Explanation: Ans. is a i.e. Rifampicin